Mitral valve vegetations do not usually embolise to:
1. Lung
2. Liver
3. Spleen
4. Brain

Correct answer: 1. Lung

Explanation: Mitral valve vegetation would obviously not go to the lung, as that would involve a backward flow.